Schizoid personality disorder all are seen except?
1. Aloof & detached
2. Prone to fantasy
3. Suspicious
4. Introspective

Correct answer: 3. Suspicious

Explanation: Ans. C. SuspiciousSuspiciousness is seen in paranoid personality disorder.